Which of the following enzymes does not use copper?
1. Prolyl hydroxylase
2. Tyrosinase
3. Ceruloplasmin
4. Superoxide dismutase

Correct answer: 1. Prolyl hydroxylase

Explanation: Ans. is 'a' i.e., Prolyl hydroxylaseMetalMetalloenzymesCa+2Lipase, LecithinaseCopper (Cu+2/ Cu+)Cytochrome oxidase, Tyrosinase, Lysyl oxidase, Superoxide dismutase, Ascorbic acid oxidase, Ferroxidase (ceruloplasmin).Iron (Fe+2/Fe+3)Cytochrome oxidase, Xanthine oxidase, Catalase, PeroxidaseZinc (Zn+2)Carbonic anhydrase, alkaline phosphatase, RNA polymerase, alcohol dehydrogenase,Carboxypeptidase, Prophobilinogen synthase, glutamate dehydrogenase, lactate dehydrogenase, Superoxide dismutase.Magnesium (Mg+2)Hexokinase, phosphofructokinase, glucose-6-phoshphatase, enolase, creatinine kinase,Phosphatases, Kinase, creatine kinase, adenylate cyclase, glutamine synthase, thiokinase, squalene synthase, glutathione synthaseMaganese (Mn+2)Arginase, Pyruvate carboxylase, phosphoglucomutase, Glycosyl transferase, Hexokinase, Enolase.Potasium (K+)Pyruvate kinaseSeleniumGlutathione peroxidaseNickle (Ni+2)UreaseMolybdenumXanthine oxidase, sulfite oxidaseNote: - Some metalloenzymes contain more than one metal e.g., cytochrome oxidase contains both iron and copper.